Tumor lysis syndrome is associated with all of he following laboratory feature except -
1. Hyperkalemia
2. Hypercalcemia
3. Hyperuricemia
4. Hyperphosphatemia

Correct answer: 2. Hypercalcemia

Explanation: hypocalcemia occurs (Harrison 17 pg 1736)